A 3-month-old child presents with intermittent strider. Most likely cause is –
1. Laryngotracheobronchitis
2. Laryngomalacia
3. Respiratory obstruction
4. Foreign body aspiration

Correct answer: 2. Laryngomalacia

Explanation: Laryngomalacia 

Laryngomalacia is the most common congenital laryngeal anomaly.
It is the most common cause of stridor in infants and children.
Symptoms appear in the first 2 weeks of life and increase in severity for up to 6 months.
The typical presentation is inspiratory stridor which is exacerbated by any exertion (crying, agitation, feeding), supine position, and viral infection of URT.
Stridor is due to partial collapse of a flaccid supraglottic airway during inspiration.